Which of the following trace element cannot be completely Supplemented by diet during pregnancy .
1. Iron
2. Calcium
3. Manganese
4. Zinc

Correct answer: 1. Iron